Risk of the damage to fetus by maternal rubella is maximum if mother gets infected in:
1. 6 - 12 weeks of pregnancy
2. 20 - 24 weeks of pregnancy
3. 24 - 28 weeks of pregnancy
4. 32 - 36 weeks of pregnancy

Correct answer: 1. 6 - 12 weeks of pregnancy

Explanation: Ans. is 'a' i.e., 6 - 12 weeks of pregnancyIn the first trimester, 80% of the infants would be affected, and severity of the disease depends on how early the infection occurs.